Mullerian inhibiting substance (MIS) is produced by
1. Stroma
2. Sertoli cells
3. Leydig cells
4. Germ cells

Correct answer: 2. Sertoli cells

Explanation: Mullerian inhibiting substance a glycoprotein produced by the Sertoli cells of the fetal testis that acts in the males to suppress the mullerian ducts, consequently preventing the development of the uterus and fallopian tubes, thus helping to control the formation of the male phenotype.Ref: Ganong's review of medical physiology; 24th edition; page no: 392